What is the chromosomal translocation in AML M3 -
1. T (18,21)
2. T (15,17)
3. T (8, 21)
4. T (9,11)

Correct answer: 2. T (15,17)

Explanation: AML M3 -is Acute promyelocytic leukaemia with t(15;17)(q22;q12). Ref: Harshmohan textbook of pathology pg :337; table 12.4